Copper deposition in cornea leads to?
1. Keratoconus
2. Keratoglobus
3. KF ring
4. Siderosis

Correct answer: 3. KF ring

Explanation: Ans. is 'c' i.e., KF ring Retention of Foreign bodies The retention of a foreign body adds considerably to the danger of a penetrating injury. The foreign bodies most likely to penetrate and be retained in the eye are minute chips of iron or steel (accounting for 90% of the foreign bodies in industry), stone, and particles of glass, lead pellets, copper percussion caps and less frequently, spicules of wood. In chipping stone with an iron chisel, it is commonly a chip of the chisel and not of the stone which enters the eye. Chalcosis is perforating injury to eye with metal containing copper (Cu). Copper deposition can lead to :? Grayish-green/golden brown discoloration of peripheral cornea called Kayser-Fleisher ring. Sunflower (Petal of flower) cataract due to deposition of copper under the posterior capsule of the lens. Golden plaque at posterior pole of the retina. Siderosis is caused by an iron foreign body. Iron deposition can cause :? Characteristic and earliest manifestation is rusty deposits of iron in a ring shaped manner on anterior surface of capsule of the lens. Later cataract develops. Initially iris is stained greenish and later become reddish-brown ---> Heterochromia iridis. Pigmentary degeneration of retina. Secondary open angle glaucoma.